True statement regarding difference between apex and base of lung, in erect posture is:
1. V/ Q is low at the apex of lung
2. V/ Q is high at the apex of lung
3. V/ Q remain same at both apex and base
4. None of the above

Correct answer: 2. V/ Q is high at the apex of lung

Explanation: Ans: B i.e. V/ Q is high at the apex of lungV/ Q changes from region to region of the lung.Thus in apical zone in the erect posture, Q (perfusion) is very low and therefore V/ Q ratio is high. While at the bases, it (V/ Q) is low